Pancytopenia with cellular marrow is seen in all except -
1. Megaloblastic anemia
2. Myelodysplasia
3. Paroxysmal Nocturnal hemoglobinuria
4. G6PD deficiency

Correct answer: 4. G6PD deficiency